Which of the following statement regarding Wiskott aldrich syndrome is TRUE?
1. Primary defect is B cell defect
2. Primary defect is T cell defect
3. Associated with WASP gene mutation
4. Defect in phagocytosis

Correct answer: 3. Associated with WASP gene mutation

Explanation: Wiskott Aldrich syndrome is caused by mutation in the WASP gene which produces a protein Wiskott Aldrich syndrome protein. WASP gene is located on the short arm of X chromosome. It is an X linked immunodeficiency disorder Cardinal features are: Thrombocytopenia Recurrent pyogenic and opportunistic infections starting from 6 months of age Eczema of varying degrees starting at about 1 year of age Normal serum levels of IgA and IgE, slightly increased IgG and decreased amount of IgM. Defective T cell function Normal B cell function